True about conscious sedation are all except ?
1. CNS depression
2. Patient is conscious
3. Protective reflexes are abolished
4. Patient can obey commands

Correct answer: 3. Protective reflexes are abolished

Explanation: Ans. is 'c' i.e., Protective reflexes are abolished conscious sedation, protective reflexes are intact (has been explained in previous sessions).